A 40-yr-old female who is known as the case of ischemic heart disease (IHD) is diagnosed with having hypothyroidism. Which of the following would be the most appropriate line of management for her -
1. Start levothyroxine at low dose
2. Do not start levothyroxine
3. Use levothyroxine
4. Thyroid extract is a better option

Correct answer: 1. Start levothyroxine at low dose